Gas used in laproscopy is
1. Carbon dioxide
2. Sulphur dioxide
3. Nitrogen
4. Oxygen

Correct answer: 1. Carbon dioxide

Explanation: Ref:Bailey and love 27th edition Pg no :105